Most common complication of intertrochantric fracture femur is-
1. Malunion
2. Nonunion
3. Osteoarthritis
4. Nerve injury

Correct answer: 1. Malunion

Explanation: *Malunion is the most common complication of IT fracture. Complications * Malunion: Coxa varus: Caused by uncorrected abduction deformity, nail entry point that is too lateral, and migration of hardware proximally in the femoral head and neck Shortening: Due to uncorrected shortening intraoperatively and premature dynamization. Rotational deformity: Do to uncorrected external rotation of proximal fragment. This can be assessed intraoperatively with visualization of the lesser trochanter Ref: Adam's outline of fracture 12th/e p.237